When a person has suspended himself by applying ligature around neck so that the point of suspension (knot) is situated in the region of the occiput. Such a hanging is called as:
1. Typical
2. Atypical
3. Partial
4. Incomplete

Correct answer: 1. Typical

Explanation: A i.e. Typical Hanging